Severe hyperkalemia is seen in combination with:
1. Amiloride and Furosemide
2. Lisinopril and furosemide
3. Losartan and amiloride
4. Propranolol and verapamil

Correct answer: 3. Losartan and amiloride

Explanation: Ans. C. Losartan and amilorideACE inhibitors/ARBs result in hyperkalemia.Side effectsa. Hypotension may occur especially in patients who are hypovolemic as a result of diuretics, salt restriction, or gastrointestinal fluid loss.b. Hyperkalemia- mostly in patients with renal impairment, NSAIDs & K+ sparing diuretics.c. Cough is due to increased levels of bradykinin (ACE inhibitors)d. Dysgeusiae. Angioedema, Rashes, Urticariaf. Foetopathic effect- in utero development of the kidneys is angiotensin dependent.g. ACEI's or ARBs, are contraindicated given during the second or third trimesters